A woman complains of excessive vomiting and mild vaginal bleeding for two weeks at a POA of 12 weeks. The fundal height corresponds of 16 weeks. The cervical os is closed. Ultrasound scan demonstrates a snowstorm appearance in part of the uterus together with a foetus. The crown-rump length corresponds to 10 weeks. The fetal heart beat is absent. What is the best management option?
1. Carry out medical termination with vaginal misoprostol
2. Carry out medical termination with an oxytocin infusion
3. Perform suction evacuation
4. Perform a total abdominal hysterectomy

Correct answer: 3. Perform suction evacuation

Explanation: Ans. is c, i.e. Perform suction evacuationSuction evacuation is the method of choice, for evacuation of a partial molar pregnancy.